Buspirone is a ?
1. Antianxiety drug
2. Antipsychotic drug
3. Antidepressant drug
4. None of the above

Correct answer: 1. Antianxiety drug

Explanation: Ans. is 'a' i.e., Antianxiety drug Buspirone Buspirone is the first azapirone, a new class of anxiolytic drug. Buspirone is a non-sedative, non-habit forming anxiolytic. It relieves mild to moderate generalized anxiety, but is ineffective in severe cases.